A minor connector contacting the axial surface of an abutment should not be located on a
1. Flat surface
2. Concavo-convex surface
3. Convex surface
4. Concave surface

Correct answer: 3. Convex surface